Middle meningeal artery is a branch of artery :
1. Maxillary
2. Posterior cerebellar
3. ECA
4. Vertebral

Correct answer: 1. Maxillary

Explanation: A. i.e. Maxillary arteryMiddle meningeal artery, commonest source of extradural haemorrhage is branch of Ist part of maxillary artery(terminal branch of external carotid artery)